All are causes of infantile tremor syndrome EXCEPT:
1. Malnutrition
2. Magnesium deficiency
3. Infections
4. Vitamin B1 deficency

Correct answer: 4. Vitamin B1 deficency

Explanation: Vitamin B1 deficency REF: OP Ghai ed p. 558 Vitamin B 12 deficiency not B1 deficiency causes infantile tremor syndrome Causes of infantile tremor syndrome: Malnutrition Vitamin B12 deficiency Infections Magnesium deficiency Toxins Tyrosinase defects